All of the structures are included in the 'Triangle of Calot' are all, EXCEPT:
1. Portal vein
2. Cystic artery
3. Right hepatic artery
4. Lymph node of Lund

Correct answer: 1. Portal vein

Explanation: The triangle of Calot is an important landmark whose boundaries include the common hepatic duct medially, the cystic duct laterally, and the inferior edge of the liver superiorly. The cystic lymph node of Lund (also known as the Calot node) is within this triangle; also here, the cystic artery branches off the right hepatic artery. The Calot node is the main route of lymphatic drainage of the gallbladder.